Ketocanozole is useful in all except -
1. T. cruris
2. T.versicolor
3. T.capitis
4. T.corpoiris

Correct answer: 3. T.capitis